Non-essential amino acid group is?
1. Acidic Amino Acid
2. Branched chain amino Acid
3. Basic Amino Acid
4. Aromatic Amino Acid

Correct answer: 1. Acidic Amino Acid

Explanation: All the Acidic amino acids (Aspartate, Glutamate) are non essential i.e. they can be synthesized from TCA intermediates. All the Basic amino acids (Arginine, Lysine, Histidine) are essential or semi-essential. All branched chain amino acids are essential. Most aromatic amino acids are essential.